Outlet forceps, meansa) Head at station "0"b) Full cervical dilatationc) Rupture of membraned) Rotation > 45
1. a
2. c
3. ac
4. bc

Correct answer: 4. bc